All of the following drugs are useful in typhoid fever except:-
1. Cefixime
2. Ceftriaxone
3. Amikacin
4. Quinolones

Correct answer: 3. Amikacin

Explanation: Aminoglycosides like amikacin are not effective against enteric fever. Drugs used for enteric fever are Cephalosporins o Ceftriaxone o Cefotaxime o Cefoperazone o Cefixime Fluoroquinolones o Ciprofloxacin o Ofloxacin o Levofloxacin Azithromycin Chloramphenicol Cotrimoxazole